Which of the following statement is TRUE about Bohr's effect?
1. Decreased affinity of Hb to 02 is associated with decreased pH & increased C02
2. Decreased affinity of Hb to 02 is associated with increased pH & decreased C02
3. Decreased affinity of Hb to 02 is associated with decreased pH & C02
4. Decreased affinity of Hb to 02 is associated with increased pH & C02

Correct answer: 1. Decreased affinity of Hb to 02 is associated with decreased pH & increased C02

Explanation: The decrease in O2 affinity of hemoglobin when the pH of blood falls is called the Bohr effect. It is closely related to the fact that deoxygenated hemoglobin (deoxyhemoglobin) binds H+ more actively than does oxygenated hemoglobin (oxyhemoglobin). The pH of blood falls as its CO2 content increases, so that when the PCO2 rises, the curve shifts to the right and the P50 rises. Ref: Barrett K.E., Barman S.M., Boitano S., Brooks H.L. (2012). Chapter 35. Gas Transport & pH. In K.E. Barrett, S.M. Barman, S. Boitano, H.L. Brooks (Eds), Ganong's Review of Medical Physiology, 24e.